All of the following are complex motor tics except
1. Echopraxia
2. Palilalia
3. Jumping
4. Touching

Correct answer: 2. Palilalia

Explanation: Palilalia is a form of complex vocal tic, a person's repeating his or her wordsAll other options are complex motor tics